A 45 year old male patient was diagnosed as having pituitary stalk compression due to increase in which hormone secretion
1. FSH
2. GH
3. TSH
4. Prolactin

Correct answer: 4. Prolactin

Explanation: Up to 70% of the patients with chromophobe adenomas of the anterior pituitary have elevated plasma prolactin levels. In some instances, the elevation may be due to damage to the pituitary stalk, but in most cases, the tumor cells are actually secreting the hormone. Hyperprolactinemia is the most common pituitary hormone hypersecretion syndrome in both men and women. PRL-secreting pituitary adenomas (prolactinomas) are the most common cause of PRL levels >200 mg/L. Less pronounced PRL elevation can also be seen with microprolactinomas but is more commonly caused by drugs, pituitary stalk compression, hypothyroidism, or renal failure